A 50 year old female patient complains of difficulty in swallowing. Patient gives h/o multiple diagnostic CT-scans of the head and neck region. This patient may be predominantly susceptible to which of the following?
1. Medullary thyroid carcinoma
2. Follicular thyroid carcinoma
3. Anaplastic thyroid carcinoma
4. Papillary thyroid carcinoma

Correct answer: 4. Papillary thyroid carcinoma

Explanation: The incidence of thyroid carcinomas, predominantly papillary thyroid carcinomas, increases in humans after radiation exposure. There is strong dependence on age at exposure—susceptibility to radiation-induced thyroid cancer is higher in children than adults. There is little evidence for a dose response for individuals exposed during adulthood. Females are 2 to 3 times more susceptible than males to radiogenic and spontaneous thyroid cancers.

Reference: White and Pharoah, Oral radiology, ed 8th, pg-92